Apoptosis activating factor 1 (Apaf-1)
1. Activates caspase 9
2. Activates caspase 8
3. Activates Bcl-1 and Mcl-1
4. Binds with mitochondrial cytochrome C

Correct answer: 1. Activates caspase 9

Explanation: Apaf-1 combines with cytoplasmic cytochrome C that leads to formation of apoptosome complex which further triggers caspase 9 activation. Thus, leading to apoptosis via intrinsic pathway.